Which hormone is NOT given for palliative care of carcinoma of prostate:
1. Estrogen
2. Progesterone
3. LHRH
4. Antiandrogens

Correct answer: 2. Progesterone

Explanation: Ans. B i.e. Progesterone Prostatic carcinoma McNeals zone refers to Ca zone, Earliest marker/ screening test: PSA MC nodes to be affected in lymphatic spread: Obturator Metastasis to vertebrae is : Batesons vertebral venous plexus Gleasons staging is used Most sensitive test for screening of prostate Ca: Digital rectal examination & PSA